Cytological feature of Necrotising sialometaplasia resembles:
1. Pleomorphic adenoma.
2. Mucoepidermoid carcinoma.
3. Warthins tumor.
4. Adenoma carcinoma

Correct answer: 2. Mucoepidermoid carcinoma.